Best treatment modality for common bile duct stone is -
1. Endoscopic sphincterotomy
2. Observation
3. Chenodeoxycholic acid
4. Percutaneous removal

Correct answer: 1. Endoscopic sphincterotomy